The disease which permanently alters the finger prints is:
1. Leprosy
2. Tuberculosis
3. Diabetes
4. Dermatitis

Correct answer: 1. Leprosy

Explanation: Permanent impairment of the fingerprint pattern occurs in leprosy, electrical injury and after exposure to radiation. Ref: Forensic Medicine and Toxicology By R.N. Karmakar, Page 115; The Essentials of Forensic Medicine and Toxicology By Dr K S Narayan Reddy, 27th Edition, Page 77